The annual Conversion rate to dementia in patients with mild congnitive impairment is
1. 10%
2. 20%
3. 30%
4. 40%

Correct answer: 1. 10%

Explanation: The term mild cognitive impairment (MCI) has been used to describe the transition between normal cognition and Alzheimer dementia. Mild cognitive impairment is recognized as an important public health problem as a dementia risk. Annual conversion rates often range from 10% to 15% in clinic samples. Ref Harrison20th edition pg 2765